Which of the following is NOT a feature of thyrotoxicosis?
1. Palpitation
2. Anxiety
3. Weight loss
4. Menorrhagia

Correct answer: 4. Menorrhagia

Explanation: Ans. (d) MenorrhagiaRef: Harrison 19th ed. / 2293* Thyrotoxicosis is characterized by increased sympatho- mimetic action causing palpitations, anxiety and increased BMR causing weight loss. The menstrual abnormality in Graves disease is oligo-menorrhea.* REMEMBER: weight gain with menorrhagia is seen in hypothyroidism. Weight gain with hirusutism with oligomenorrhea is seen in Cushing syndrome.